False about celiac disease
1. Villous atrophy
2. Crypt hyperplasia
3. Infiltration of lymphocytes
4. Villous hyperplasia

Correct answer: 4. Villous hyperplasia

Explanation: It is a malabsorption syndrome characterised by significant loss of villi in the small intestine and thence diminished absorptive surface area. The condition occurs in 2 forms- childhood and adult type. Childhood form referred to as coeliac disease. Adult form called idiopathic steatorrhea. Both forms are histologically similar. In Partial villus atrophy, There is shortening and blunting of the villi with reduction in their height. There is crypt hyperplasia. In Subtotal villous atrophy, There is near total flattening of the villi and crypt hyperplasia. Lamina propria shows increased number of plasma cells and lymphocytes. REF: TEXTBOOK OF PATHOLOGY 6TH EDITION HARSH MOHAN PAGE NO:575 IMAGE REF: